Which of the following condition does not contain fat on mammography?
1. Hamartoma
2. Galactocele
3. Post-traumatic cyst
4. Seborrheic keratosis

Correct answer: 4. Seborrheic keratosis

Explanation: Seborrheic keratosis are the most common skin lesion that is visible on the mammogram. These are benign skin lesions that are associated with aging. They appear wart like with a verrucoid surface, with air trapped in the irregular cracks in the surface of the lesion. Ref: Breast Imaging By Daniel B Kopans, Pages 481-482; Radiology Review Manual By Wolfgang Dahnert, 7th Edition, Page 555